Which of the following statements is true regarding Arboviruses?
1. Yellow fever is endemic in India
2. Dengue virus has only one serotype
3. Kyasanur forest disease (KFD) is transmitted by ticks
4. Mosquito of Culex visnoi - complex is the vector of Dengue fever

Correct answer: 3. Kyasanur forest disease (KFD) is transmitted by ticks

Explanation: Ans. is 'c' i.e., Kyasanur forest disease is transmitted by tick(Ref: Ananthanarayan, 9th/e, p. 522, 523 and 8th/e, p. 520)* KFD is mainly transmitted by Hard tick, but soft tick can also transmit the disease and reservoirs are monkeys and rats.* Dengue virus has four serotypes.* Yellow fever is not endemic in India; it is distributed in Africa and South America.* Dengue fever is transmitted by Aedes mosquito.